Lacrimation is affected when facial nerve injury is at:
1. Geniculate ganglion
2. Mastoid segment
3. At Otic ganglion
4. At Stylomastoid foramen

Correct answer: 1. Geniculate ganglion

Explanation: (a) Geniculate ganglion(Ref. Cummings, 6th ed., 2606)Mastoid segment and Stylomastoid foramen are beyond the geniculate ganglion.Otic ganglion is for the parasympathetic supply to the parotid.